Action potential generates from -
1. Cell body
2. Dendrites
3. Axon
4. Initial segment

Correct answer: 4. Initial segment

Explanation: Ans. is 'd' i.e., Initial segmentNeuron is the functional unit (basic unit of nervous tissue). It is specialized for the function of reception, integration and transmission of information in the body. The basic structure of neuron is best studied in a spinal motor neuron. This cell has a 'cell body (soma)' with 5-7 small processes called 'dendrites'. There is a long process called 'axon' that originate from "axon hillock (A thickned area of cell body from which axon originates)". The first portion of the axon is called "initial segment". In a motor neuron, the axon hillock and the initial segment of axon have the lowest threshold for excitation. This is because they have a much higher density of voltage gated sodium channels.